A patient on aspirin will have increase in :
1. Bleeding time
2. Clotting time
3. Prothrombin time
4. Activated partial thromboplastin time:

Correct answer: 1. Bleeding time

Explanation: Antiplatelet drugs (like aspirin and clopidogrel) prolong the bleeding time.
AnticoaguIant drugs prolong the clotting time.
Drugs interfering with Intrinsic pathway (like heparin) prolong the aPTT
Drugs Interfering with extrinsic pathway (like warfarin) prolong the PT
Thrombin time is prolonged in cases of afibrinogenemia and dysfibrinogenemia.